Fasciculations are seen in lesions of:
1. UMN type of lesion
2. LMN type of lesion
3. Myoneural junction
4. Peripheral neuropathy

Correct answer: 2. LMN type of lesion

Explanation: Ans. B i.e. LMN type of lesion